ACE inhibitors are contraindicated in all except?
1. Bilateral Renal artery stenosis
2. Chronic renal failure
3. Pregnancy
4. Hyperkalemia

Correct answer: 2. Chronic renal failure

Explanation: Ans. (b) Chronic Renal FailureRef.: Harrison 19th ed. /1816ACE inhibitors and ARBs inhibit the angiotensin-induced vasoconstriction of the efferent arterioles of the glomerular microcirculation. This inhibition leads to a reduction in both intra-glomerular filtration pressure and proteinuria.* Adverse effects from these agents include cough and angioedema with inhibitors, anaphylaxis, and hyperkalemia.* The most common cause of chronic renal failure is diabetic nephropathy and is benefitted by above mentioned effects of ACE inhibitors.* Choice A bilateral renal artery stenosis leads to hyperkalemia and hence is a contraindication. Choice D is ruled out henceforth.* Choice C pregnancy, the use of ACE inhibitors has been shown to cause teratogenicity